Umblical vein assumes which of the following positions after birth-
1. Ligamentum teres
2. Urachus
3. Medial umblical ligament
4. Lateral umblical ligament

Correct answer: 1. Ligamentum teres

Explanation: A i.e. Ligamentum teres